True about chalazion
1. Chronic non specific inflammation
2. Lipogranulomatous inflammation
3. acute inflammation
4. Suppurative inflammation

Correct answer: 2. Lipogranulomatous inflammation

Explanation: Chalazion is a lipogranulomatous inflammation of the the mebomian gland REF:Refer Khurana 6th edition page number 368